Cutaneous larva migrans is due to -
1. Ankylostoma braziliensis
2. W.bancrofti
3. B. Malayi
4. D. medinensis

Correct answer: 1. Ankylostoma braziliensis

Explanation: Ans. is 'a' i.e., Ankylostoma braziliense Larva migranso Certain nematode larvae on entering into unnatural host (e.g. man) may not be able to complete their journey through the host's tissues for localization in their normal abode.o Two different types of conditions are produced. Entering by skin penetration - Cutaneous larva migrans or creeping eruptionEntering via oral route - Visceral larva migrans.o Causative organisms